Alkalinisation of urine may be done in cases of poisoning with:
1. Barbiturates
2. Amphetamines
3. Alcohol
4. Morphine

Correct answer: 1. Barbiturates

Explanation: Achieving a urinary pH of 7.5 to 9 promotes excretion of drugs that are weak acids such as long acting barbiturates (phenobarbital). Ref: The Essentials of Forensic Medicine and Toxicology By Dr K S Narayan Reddy, 27th Edition, Pages 456, 519; Parikh's Textbook of Medical Jurisprudence and Toxicology, 6th Edition, Page 8.17; Modi's Medical Jurisprudence and Toxicology, 23rd Edition, Page 17; KDT, 6th Edition, Page 392